Which of the following does not supply the palate-
1. Tonsilar branch of facial artery
2. Ascending palatine artery
3. Descending palatine artery
4. Ascending pharyngeal artery

Correct answer: 1. Tonsilar branch of facial artery

Explanation: Blood supply of soft palate 

Arterial supply of soft palate is as follows:-


Greater palatine branch of the descending palatine artery, which in turn is a branch of the maxillary artery.
Ascending palatine branch of the facial artery.
Palatine branch of ascending pharyngeal artery.
Lesser palatine artery a branch of descending palatine artery, which is a branch of the maxillary artery.